Shortening of 2 mm of axial lengsth of eye ball causes -
1. 3D myopia
2. 6D myopia
3. 3D hypermetropia
4. 6D hypermetropia

Correct answer: 4. 6D hypermetropia

Explanation: 1 mm change in axial length leads to ametropia of 3d. For example 1 mm shoenign an axial length causes hypermetropia of 3D. Reference :Khurana 7th edition,page28